Bear claw's sign is seen in
1. IgA nephropathy
2. Glomerular nephritis
3. Liver lacerations
4. Xanthogranulomatous pyelonephritis

Correct answer: 3. Liver lacerations

Explanation: Bear claw sign is seen in liver trauma on CECT Note- Bear paw's sign- xanthogranulomatous pyelonephritis.